Laser welding:
1. Involves high heat generation
2. Can be done with pure titanium
3. Is not used in dentistry
4. Can he done with pure gold

Correct answer: 2. Can be done with pure titanium